Mid-day meals provided in schools provide ?
1. 1/2 of total calories & 1/2 of protein
2. 1/3 of total calories & 1/2 of protein
3. 1/2 of total calories & 1/3 of protein
4. 1/3 of total calories & 1/4 of protein

Correct answer: 2. 1/3 of total calories & 1/2 of protein

Explanation: Ans. is `b' i.e., 1/3rd of total calories & 1/2 of daily protein requirement